Which is the drug of choice for maintenance therapy in uncomplicated bipolar disorder ?
1. Sodium valproate
2. Carbamazepine
3. Lithium
4. Lamotrigine

Correct answer: 3. Lithium